The condition of genital organs whlch may lead to leslons in surgicalscars, rectum, lymph nodes, lung vials :
1. Teratoma
2. Endometriosis
3. Adenomyosis
4. Fibroid

Correct answer: 2. Endometriosis

Explanation: Endometriosis